True about myasthenia gravis -
1. Associated with thymomoa in 3/4 of cases
2. Incremental response seen with repetitive electric stimuli
3. Skeletal muscle function improve after rest
4. ↑ Aceytylcholine receptor

Correct answer: 3. Skeletal muscle function improve after rest